Outer cell mass gives rise to
1. Embryo proper
2. Trophoblast
3. Syncytiotrophoblast
4. None

Correct answer: 2. Trophoblast

Explanation: It consists of an inner cell mass that is completely surrounded by an outer layer of cells.the second.the cells of the outer layer will later give rise to a structure called trophoblast HUMAN EMBRYOLOGY-INDERBIR SINGH TENTH EDITION-PAGE NO:50